In culex mosquito the type of biological transmission for filarial parasite is -
1. Cyclo-developmental
2. Cyclo-propagative
3. Propagative
4. Cyclical

Correct answer: 1. Cyclo-developmental

Explanation: The following stages of development takes place in the vector Exsheathing First stage larva Second stage larva Third stage larva (Refer pgno:271 park 23rd edition)